Dull, boring, gnawing type of pain is due to excitation of:
1. C fibres.
2. A delta fibres.
3. Both.
4. None.

Correct answer: 1. C fibres.

Explanation: Dull, boring, gnawing, and excruciating. This kind of painful response is consistent with those resulting from excitation and slower rate of transmission of the "C" nerve fibers in the pulp